Infant with no social smile, no eyebrows, protruded tongue. Diagnosis -
1. Cretinism
2. Down's syndrome
3. Mucopolysaccharidosis
4. Rickets

Correct answer: 1. Cretinism

Explanation: Ans. is 'a' i.e., Cretinism